In breast conservation surgery, the healthy margin excised is typically:
1. 1 cm
2. 2 cm
3. 3 cm
4. 5 cm

Correct answer: 1. 1 cm

Explanation: Breast Conservation Surgery. - Performed for early invasive breast cancer (Stage I, IIA, IIB) BCS consist of Excision of lump - Lumpectomy or Wide local excision with 1 cm margin or more extensive excision of a whole quadrant of breast (Quadrantectomy).